Not true about microtubules is
1. Dynamic instability
2. Polarity
3. Charged
4. GTP not required

Correct answer: 4. GTP not required

Explanation: For the assembly of microtubules, GTP is required.